Corpus luteum is maintained by :
1. Progesterone
2. LH
3. FSH
4. Estrogen

Correct answer: 2. LH

Explanation: B i.e. LHAction of LH areStimulates ovulation12.Formation & maintenance of corpur luteumQFormation of progesterone in the corpus leutieum from the lutein cellsQ.